Birbeck granules are present in
1. Merkel cells
2. Langerhans cells
3. Langhans cells
4. Melanocytes

Correct answer: 2. Langerhans cells

Explanation: Ref Robbins 9/e p662 Birbeck granules, also known as Birbeck bodies, are rod shaped or "tennis-racket" cytoplasmic organelles with a central linear density and a striated appearance. First described in 1961 (where they were simply termed "characteristic granules"), they are solely found in Langerhans cells.